Second most common malignancy in a patient with retinoblastoma is:
1. Nephroblastoma
2. Osteosarcoma
3. Neuroblastoma
4. Craniopharyngioma

Correct answer: 2. Osteosarcoma

Explanation: Retinoblastoma: It is the most common primary intraocular malignancy of childhood. The mutation occurs in the retinoblastoma gene (Rb) at chromosome 13q14. This is a tumor suppressor gene. One mutated copy may be inherited in an autosomal dominant fashion (germline mutation). If a second mutation spontaneously occurs in any cell, tumorigenesis is likely. Individuals with a germinal mutation are at risk for the development of tumors other than retinoblastoma (pineal tumors, osteosarcoma, and other soft tissue sarcomas). Ref: Braverman R.S. (2012). Chapter 16. Eye. In W.W. Hay, Jr., M.J. Levin, R.R. Deterding, J.J. Ross, J.M. Sondheimer (Eds), CURRENT Diagnosis & Treatment: Pediatrics, 21e.